Which among the following organism is found as a commensal on skin?
1. Staph aureus
2. Strept pyogenes
3. Clostridium
4. Borrelia

Correct answer: 1. Staph aureus

Explanation: Anss: a) Staph minusEven though skin, vagina, axilla, perineum are colonised by staphylococcus, most frequent site of human colonisation is anterior nares.